Pigmented "muddy brown" granular cast is characteristic of
1. Prerenal ARF
2. Ischemic or nephrotoxic ATN
3. Postrenal ARF
4. Chronic renal failure

Correct answer: 2. Ischemic or nephrotoxic ATN

Explanation: AKI from ATN due to ischemic injury, sepsis, or certain nephrotoxins has characteristic urine sediment findings: pigmented "muddy brown" granular casts and tubular epithelial cell casts. These findings may be absent in more than 20% of cases Ref: Harrison 19e pg: 1805